Gingival enlargement is a side effect of
1. Phenytoin
2. Calcium channel blockers
3. Acute myelocytic leukemia
4. All of the above

Correct answer: 4. All of the above